What is the function of humectants in dentrifrices:
1. Liquefies the dentrifrice
2. Prevents water loss and hardening on exposure to air
3. Flavors the tooth paste
4. Cleans tooth surface effectively

Correct answer: 2. Prevents water loss and hardening on exposure to air